In case of CA breast most prognostic factor is ?
1. Size of tumour
2. Lymph node status
3. Presence of estrogen receptor
4. Age. of menopause

Correct answer: 2. Lymph node status

Explanation: Ans is 'b' ie lymph node status "the most important prognostic correlate for disease free and overall survival is axillary lymph node status. Node-negative women have less than a 30% risk of recurrence, compared to as much as a 75% risk for node-positive women." - Schwartz * But remember * Lymph node status may be the single most indicator of prognosis, but 'stage of breast cancer' is a better indicator of prognosis as it includes lymph node status along with loco-regional status of cancer (i.e. size, involvement of chest or overlying skin) and metastasis [so if stage of breast cancer is among the options, it should be the answer